Which of the following is the rationale to perform a spinal tap on a newly diagnosed client with leukemia?
1. To rule out bacterial meningitis
2. To check if leukemia has spread to the cerebral spinal fluid
3. To classify the type of leukemia
4. To lower the pressure in the brain

Correct answer: 2. To check if leukemia has spread to the cerebral spinal fluid

Explanation: B: A spinal tap can determine if leukemia has infiltrated to the cerebral spinal fluid (CSF).
A: A spinal tap can be done to rule out bacterial meningitis but this is not the reason for the test on a client with leukemia.
C&D: Spinal tap is not done to identify the classification of leukemia and to decrease intracranial pressure.